New York agar is used for -
1. Salmonella
2. Clostridia
3. Neisseria
4. Bacillus Anthracis

Correct answer: 3. Neisseria

Explanation: Ans. is 'c' i.e., Neisseria New York City (NYC) medium* New York City (NYC) medium is primarily designed for isolation of pathogenic Neisseria.* It also supports the growth of genital mycoplasma (Mycoplasma hominis and Ureoplasma Urealyticum).* It is useful in the diagnosis of gonorrhea and mycoplasma infection.* It consists of primarily a peptone-corn starch agar-base buffered with phosphates and supplemented with horse plasma, horse hemoglobin, dextrose, yeast autolysate and antibiotics.